Neutropenia is caused by all of the following except-
1. Corticosteroids
2. Cephalosporins
3. Ranitidine
4. Phenytoin

Correct answer: 1. Corticosteroids

Explanation: Glucocorticoids increase the number of RBCs ,platelet ,& neutrophils in circulation .They decrease lymphocytes ,eosinophils & basophils. So corticosteroids are not associated with neutropenia.Tripathi essential of pharmacology 7th edition pg no 285.